The process in which a material melts to form a crystalline phase and a liquid phase known as:
1. Incongruent melting
2. Congruent melting
3. Sintering
4. Ceramming

Correct answer: 1. Incongruent melting

Explanation: When feldspar is heated at temperatures between 1150°C and 1530°C, it undergoes incongruent melting to form crystals of leucite in a liquid glass. Incongruent melting is the process by which one material melts to form a liquid plus a different crystalline material. 
This tendency of feldspar to form leucite during incongruent melting controls thermal expansion during the use of porcelains for metal bonding.
Reference: PHILLIPS’ SCIENCE OF DENTAL MATERIALS, 12th ed page no 430